Non- inflammatory, non- neoplastic enlargement of the salivary gland is:
1. Sialadenoma.
2. Sialosis.
3. Sialadenosis.
4. Both BC

Correct answer: 4. Both BC